Xeroradiography is used in detection of
1. Stomach carcinoma
2. Breast carcinoma
3. Pancreatic carcinoma
4. Colonic carcinoma

Correct answer: 2. Breast carcinoma

Explanation: Xeroradiography is the technology for recording radiographic images without the need for any chemical processing whatsoever. To make an image a selenium photoreceptor, or plate is charged to a uniform surface potential on the order of 1000 volts. When this photoreceptor is exposed to x-rays, its surface charge is depleted by photoconduction in amounts proportional to the radiation intensity striking it. A residual potential pattern which is a shadowgraph of the object being x-rayed is then formed. After exposure, the electrostatic image on the plate is developed by a powder cloud technique in which charged, pigmented particles are blown over the plate and adhere to it in the pattern of the image. This powder or toner is the ink which defines the image. Following development, the toner is transferred to paper and fixed into a permanent image by low-temperature heat fusing. It requires more radiation exposure. Historically used in mammography prior to the advent of digital mammographyXeromammography is a form of xeroradiographyDental xeroradiography has peculiar positive properties which enable both detailed bony and soft tissue examination, as well as subtle visualization of structures(Ref: Proc. SPIE 0026, Quantitative Imagery in the Biomedical Sciences I, 71 (June 1, 1971);doi:10.1117/12.975328, Xeroradiography-Principles and practice By Wm. J. Kearns, Christensen's Physics of Diagnostic Radiology, chapter 18)